Enzymes found in CSF:
1. GGT + ALP
2. ALP + CK-MB
3. CK + LDH
4. Deaminase and Peroxidase

Correct answer: 3. CK + LDH

Explanation: Ans. c. CK + LDH (Ref: Textbook of Medical Biochemistry by Dinesh Puri 2/e p154, 155)CK (Subunit composition BB) and LDH-3 (Subunit composition HHMM) are found in brain (CSF).Tissue Distribution of Lactate Dehydrogenase IsoenzymeIsoenzymeSubunit compositionTissuePercentage in serumLDH-1HHHHMyocardium, RBCQ30LDH-2HHHMMyocardium, RBCQ35LDH-3HHMMBrainQ, kidney20LDH-4HMMMSkeletal muscle, liverQ10LDH-5MMMMSkeletal muscle, liverQ5 Characteristics of CK IsoenzymesIsoenzymeSubunit compositionTissuePercentage in serumCKBBBrainQ30CKMBHeartQ35CKMMSkeletal muscleQ20